Blue daper syndrome is associated with
1. Tryptophan malabsorption
2. Tryptophan hyperabsorption
3. Tyrosine malabsorption
4. Tyrosine hyperabsorption

Correct answer: 1. Tryptophan malabsorption